Villous atrophy is seen in -
1. Celiac disease
2. Giardiasis
3. Tropical sprue
4. All of above

Correct answer: 4. All of above